Intravenous regional anaesthesia is suitable for:
1. Orthopedic manipulation on the upper limb
2. Vascular surgery on the lower limb
3. Head and neck surgery
4. Caesarian section

Correct answer: 1. Orthopedic manipulation on the upper limb

Explanation: IVRA is indicated for procedures on upper limb or lower limb of less than one hour duration. - it consist of inj. of LA in vein of torniquet occluded limb - drug diffuses from vascular bed to non-vascular tissue such as nerve endings - regional anesthesia is produced in 2-5min. and last for a min. after deflating the torniquet - bupivacaine should never be used because of its cardiotoxicity